Which enzymatic mutation is responsible for immortality of cancer cells:
1. DNA reverse transcriptase
2. RNA polymerase
3. Telomerase
4. DNA polymerase

Correct answer: 3. Telomerase

Explanation: Ans. C. Telomerase(Ref: Robbins 9/e page 288)Telomerase is one of several factors that contribute to the endless replicative capacity (the immortalization) of cancer cells.